Metal fume fever is seen with
1. Mercury
2. Lead
3. Zinc
4. Thallium

Correct answer: 3. Zinc

Explanation: Metal fume fever This is due to inhalation of zinc oxide fumes. It is also called smelter's shakes, zinc shakes, brass chills or Monday morning fever. Ref: FORENSIC MEDICINE AND TOXICOLOGY Dr PC IGNATIUS THIRD EDITION PAGE 430